Bacteria surviving alkaline media
1. E.coli
2. Shigella
3. Vibrio
4. Salmonella

Correct answer: 3. Vibrio

Explanation: Ans: c (Vibrio) Ref: Ananthanarayan, 7th ed, p. 305Culture characteristics of Vibrio: Strongly aerobic Temperature range 16 - 40deg C pH range 6.4 - 9.6 (Growth is better in alkaline medium, optimum pH is 8.2) MacConkey's agar - red colonies due to late fermentation of lactose. Blood agar - initially zone of greening later clears due to haemodigestion Gelatin stab culture: infundibuliform or napiform liquefaction